A 57 year old female was presented with a chest pain in her mid-sternal area. She has history of taking NSAIDs for joint pains. Gastric mucosa shows multiple, punctate, haemorrhagic areas; no mucosal ulceration is seen. Biopsy from the lesions reveals mucosal erosions with edema and haemorrhage. Which of the following is most likely diagnosis ?
1. Autoimmune gastritis
2. Peptic ulcer disease
3. Watermelon stomach
4. Acute gastritis

Correct answer: 4. Acute gastritis

Explanation: Gastritis is term is reserved for histologically documented inflammation of the gastric mucosa. It results from mucosal injury. And when neutrophils are present in the lesion it is referred to as acute gastritis Acute gastritis refers to the clinical situation of gastric mucosal erosions (not mucosal ulcers). Acute gastritis is also known as hemorrhagic gastritis or acute erosive gastritis. The most common causes of acute gastritis are infectious. Acute gastritis can be associated with the use of non-steroidal anti-inflammatory drugs, (such as ibuprofen ,aspirin), alcohol, corticosteroids, chemotherapy, and severe stress. Two types of stress ulcers are : Curling's ulcers, which can be seen in patients with severe burns, and Cushing's ulcers which can be seen in patients with intracranial lesions. Gross appearance of acute gastritis is multiple, scattered, punctate, hemorrhagic areas in the gastric mucosa. This is helpful in differentiating acute gastritis from peptic ulcers, which tend to be solitary and larger. Microscopically the gastric mucosa from a patient with acute gastritis is likely to reveal mucosal erosions, scattered neutrophils, edema, and possibly hemorrhage.